A 30-year-old came with complaints of thyroid swelling. On investigations her TSH levels were found to be elevated. Post operative histopathological examination reports shower lymphocytic infiltration and Hurthle cells. Which of the following is the most likely diagnosis?
1. Graves disease
2. Follicular carcinoma
3. Hashimoto thyroiditis
4. Medullary carcinoma thyroid

Correct answer: 3. Hashimoto thyroiditis

Explanation: Hashimoto thyroiditis This autoimmune disorder occurs more often in women than in men. It is a common cause of hypothyroidism; may occasionally have anearly transient hyperthyroid phase. Clinical characteristics include a slow, often inapparent course and a modestly enlarged and nontender thyroid; the patient is most often euthyroid at first, but transient hyperthyroidism may occur; hypothyroidism develops latewhen the gland is shrunken and scarred. Histologic characteristics includemassive infiltrates of lymphocyteswithgerminal center formation; thyroid follicles are atrophic andHurthle cells(epithelial cells with eosinophilic granular cytoplasm) are prominent. Hashimoto thyroiditis is associated with various autoantibodies, most prominentlyantithyroglobulin, antithyroid peroxidase, anti-TSH receptor, and anti-iodine receptor antibodies. It may also be associated with an increased incidence of other autoimmune disorders such as pernicious anemia, diabetes mellitus, and Sjogren syndrome; incidence isincreased in HLA-DR5- and HLA-B5-positiveindividuals.